Benzodiazepine without anticonvulsant property is -
1. Nitrazepam
2. Diazepam
3. Clonazepam
4. Temazepam

Correct answer: 4. Temazepam

Explanation: Ans. is 4d' i.e., Temazepam o BZDs with significant anticonvulsant property are diazepam, clonazepam, nitrazepam, lorazepam andflurazepam.Effects of benzodiazepineso In contrast to barbiturates, BZDs are not general depressant, but exert relatively selective anxiolytic, hypnotic, muscle relaxant and anticonvulsant effects.o The antianxiety action of BZDs is not dependent on their sedative property - with chronic administration relief of anxiety is maintained, but drowsiness wanes off due to development of tolerance.o Stage 2 sleep is increased, while REM, Stage 3 & 4 sleep are decreased,o Nitrazepam is the only benzodiazepine, which increases REM sleep.o Clonazepan and diazepam have more marked muscle relaxant property.o Clonazepam, diazepam, nitrazepam and flurazepam have more prominent anticonvulsant activity than other BZDs.o Diazepam (but not other BZDs) has analgesic action.o Diazepam produces short lasting coronary dilatation on Lv. injection.o Diazepam decreases nocturnal gastric secretion and prevents stress ulcers.